Which one of the following human tissues contains the greatest amount of body glycogen?
1. Liver
2. Kidney
3. Skeletal muscle
4. Cardiac muscle

Correct answer: 3. Skeletal muscle